Stain for treponema
1. Fontanas method
2. Acid fast
3. Methenamine silver
4. PAS

Correct answer: 1. Fontanas method